All are true regarding early post-cibal syndrome, except:
1. Distension of abdomen
2. Managed conservatively
3. Hypermotility of intestine is common
4. Surgery is usually indicated

Correct answer: 4. Surgery is usually indicated

Explanation: Ans. (d) Surgery is usually indicatedRef: Sabiston 20th Edition, Page 1212* Post-Cibal syndrome is mostly managed conservatively by altering diet as mentioned above.* If not responding to diet alteration: Octreotide is given* Only very few patients need revisional surgeries for dumping syndrome.* Commonly done revision surgeries are - Interposition of Anti peristaltic loop, convering Billroth II to Billroth I or Roux-En-Y anastomosis.